Reservoir of plagu e is -
1. Domestic rat
2. Wild rat
3. Rat flea
4. Man

Correct answer: 2. Wild rat

Explanation: Ans. is -b' i.e., Wild rat Life cycle of plague bacilliReservoir of infection - Wild rodent (Tetra indica)Vector - Rat flea{Xenopsvlla cheopis in north IndiaXenopsylla astia in south India Modes of transmissionCommensalrats(Rattus rattus)|Rat flea|Man(Most common mode)Wild rodents|Wild rodent flea|Man|Wild rodents (Tetra Indica) peridomestic rodents (Rattus non'egicus). Commensal rodents (Rattus rattus)|Wild rodent fleas, peridomestic rodent fleas, commensal rodents fleas|ManMan|Human flea (pulex irritans)|ManMan|Man (In pneumonic plague)